Addison's disease is caused by
1. Tuberculosis
2. HIV
3. Metastatic carcinomas
4. All of the above

Correct answer: 4. All of the above